NOT true regarding Superficial perineal pouch among the following is
1. Roof is formed by perineal membrane
2. Anterior wall is deficient
3. Lateral wall is formed by Superior pubic ramus
4. Floor is formed by CoIle's fascia

Correct answer: 3. Lateral wall is formed by Superior pubic ramus

Explanation: Lateral wall is formed by Ischiopubic ramus.